Drug not used in chloroquine resistant malaria is ?
1. Sulfadoxine-pyrimethamine
2. Fluoroquinolones
3. Quinine
4. Aemisinis

Correct answer: 2. Fluoroquinolones

Explanation: Ans. is b' i.e., Fluoroquinolones Drugs for chlorquine resistant malaria Sulfadoxin / Pyrimethamine + Artesunate 4. Artemether + Lumefantrine Quinine + Tetracycline or doxycycline or clindamicin 5. Halofantrine Mefloquine + Artesunate